A female presents with a breast lump of size 6 cm. On examination axillary lymph nodes on ipsilateral side are found to be enlarged and fixed. TNM staging is:
1. T3 N2
2. T2 N2
3. T4 N2
4. T1 N1

Correct answer: 1. T3 N2

Explanation: Tumour size more than 5 cm corresponds to T3 and finding of ipsilateral axillary lymph node, which are fixed, corresponds to N2a therefore the TNM staging in this case is T3 N2. Ref: Schwartz 9/e, Page 452 ; CSDT 13/e, Page 291